All of the following are causes of "lupus", except;
1. Hydralazine
2. Clofibrate
3. Penicillamine
4. INH

Correct answer: 2. Clofibrate

Explanation: drug induced lupus- sulphonamides, procainamide, INH, hydralazine- SHIP-code SLE is an autoimmune disease which can affect the whole body system. The main medication used is 1.anti inflammatories like aspirin to reduce lupus, acetaminophen, NSAIDS, corticosteroids 2.anti materials 3.immune modulators i. e cyclophosphamide, methotrexate, azathioprine, 4.anticoagulants 5.monoclonal antibodies, etc REF KD Tripathi 8th ed